Nagglers reaction is used in the diagnosis of:
1. Malaria.
2. Whooping cough.
3. Gas gangrene.
4. Wool sorters disease.

Correct answer: 3. Gas gangrene.

Explanation: Naggler's reaction is given by alpha toxin of "Clostridium perfringens".